Which of the following is viviparous -
1. Strongyloidis stercoralis
2. Trichinella spiralis
3. Enterobius
4. Ascaris

Correct answer: 2. Trichinella spiralis

Explanation: trichina worm Causative agent of trichinosis It is viviparous and releases first-stage larvae into the intestinal mucosa (refer pgno:153 baveja 3 rd edition)